Inflammatory disease of salivary glands is called as:
1. Sialdenitis.
2. Sialodochitis.
3. Sialadenosis.
4. Sialosis.

Correct answer: 1. Sialdenitis.